A patient presented at 20 weeks of gestation. The patient's LMP was 9th January. What will be the estimated date of delivery?
1. 9th January
2. 16th September
3. 16th October
4. 9th October

Correct answer: 3. 16th October

Explanation: Ans. is c, i.e. 16th OctoberEDD can be calculated by Naegele's formulaEDD=LMP+9 months and 7 daysSo to January add 9 months = OctoberTo 9 add 7=16Hence LMP of the female becomes- 16th October